Drug of choice for infantile spasms in a patient with tuberous sclerosis is:
1. Vigabatrin
2. Tiagabine
3. Lamotrigine
4. Levetiracetam

Correct answer: 1. Vigabatrin